Touton Giant cells are seen in -
1. Cat scatch disease
2. Sarcoidosis
3. Xanthomas
4. Neurofibroma

Correct answer: 3. Xanthomas

Explanation: Ans. is 'c' i.e., Xanthoma Tauton giant cells These cells have a ring of nuclei that separates a peripheral clear cytoplasm from an eosinophilic central cytoplasm. These cells are seen in juvenile xanthogranuloma in skin or iris and in Xanthoma disseminatum.